Blue ear drum is seen in ?
1. Serous otitis media
2. CSOM
3. Perforation
4. None

Correct answer: 1. Serous otitis media

Explanation: Ans. is 'a' i.e., Serous otitis media Any accumulation of fluid behind tympanic membrane causes structural changes in tympanic membrane causing it to appear blue, be it pus, blood or serous fluid. The most common cause of fluid accumulation in middle ear is serous otitis media or glue ear (most common cause) and haemotympanum. Other causes of blue tympanic membrane are glomus tumor, hemangioma of middle ear, and cholesterol granuloma.